During massive disaster what should be done first:
1. Search and rescue ,first aid
2. Triage
3. Stabilization of victims
4. Hospital treatment and redistribution of patients to hospitals if necessary

Correct answer: 1. Search and rescue ,first aid

Explanation: Ans. (a) Search and rescue,first aidRef: K. Park 23rd ed. / 795-97* The management of mass casualties (massive disaster) can be further divided into:# Search and rescue, first aid,# Triage# Stabilization of victims,# Hospital treatment and redistribution of patients to hospitals if necessary.* Foremost step for disease prevention and control in post disaster phase is chlorination of all the water bodies. Most practical and effective strategy of disease prevention is "supplying safe drinking water and proper disposal of excreta.